In which case Immunoguided surgery is done
1. CA colon
2. CA pancreas
3. CA jejunum
4. CA anal canal

Correct answer: 1. CA colon

Explanation: Ans is 'a' ie Ca Colon Radioimmunoguided surgery (RIGS) is a new technology capable of detecting minimal neoplastic lesions using radiocolloids, intraoperatively. It has numerous uses in oncology, it uses colloid radiotracers, monoclonal antibodies or non-immunological tracers. Its uses are Radioguided Occult Lesion Localization (ROLL) and Sentinel Lymph-Node Biopsy (SLNB).The malignancies mentioned in the above given web addresses of Pubmed, in which RIGS is being used are:Breast cancerColorectal cancerNon-small cell lung cancer